OPV Bivalent vaccine contain:
1. P1 & P2
2. PI & P3
3. P2 & P3
4. P1, P2 & P3

Correct answer: 2. PI & P3

Explanation: b. P1 & P3(Ref: Nelson's 20/e p 1561, 3212, Ghai 8/e p 190-194)Monovalent OPVs (mOPVs) & bivalent OPV (bOPV) are 2.5-3 times more efficacious than trivalent OPVIn bivalent OPV, the type 2 component is removed